Fetal Hb is different from HBA in that it is :
1. More sensitive to alkali denaturation
2. More resistant to alkali denaturation
3. More sensitive of acid denaturation
4. All of the above

Correct answer: 2. More resistant to alkali denaturation

Explanation: More resistant to alkali denaturation